Which is not seen in hyperventilation?
1. Seizures
2. Alkalosis
3. Hypocalcemia and hypophosphatemia
4. Hypocalcemia and hyperphosphatemia

Correct answer: 4. Hypocalcemia and hyperphosphatemia

Explanation: (D) Hypocalcemia and hyperphosphatemia # Alkalemia associated with hypocapnia may produce neurologic symptoms, including dizziness, visual impairment, syncope, and seizure activity (secondary to cerebral vasoconstriction); paresthesia, carpopedal spasm, and tetany (secondary to decreased free serum calcium); and muscle weakness (secondary to hypophosphatemia); and may be associated with panic attacks.> Severe alkalemia can also induce cardiac arrhythmias and evidence of myocardial ischemia.> Patients with a primary respiratory alkalosis are also prone to periodic breathing and central sleep apnea.